First to recover from post-operative ileus is?
1. Small intestine
2. Stomach
3. Colon
4. None

Correct answer: 1. Small intestine

Explanation: Answer- A. Small intestineFirst recover - Small intestineLast recover - Colon (largeintestine)